Which of the following conditions can produce hemothorax?
1. Myxoma
2. Congestive heart failure
3. Rheumatoid arthritis
4. malignancy

Correct answer: 4. malignancy

Explanation: Hemothorax commonly seen in iatrogenic(traumatic),malignancy,pulmonary embolism. Hemothoraces are usually caused by an injury but may occur spontaneously: due to cancer invading the pleural cavity, as a result of a blood clotting disorder, as an unusual manifestation of endometriosis, in response to a collapsed lung, or rarely in association with other conditions . Ref Davidson edition23rd pg 630